Epiphyseal arising bone tumor is:
1. Osteod osteoma
2. Chondrosarcoma
3. Ewings sarcoma
4. Chondroblastoma

Correct answer: 4. Chondroblastoma

Explanation: Chondroblastoma